CO2 content in arterial blood is
1. 19ml/dl
2. 29ml/dl
3. 36ml/dl
4. 49 ml/dl

Correct answer: 4. 49 ml/dl

Explanation: Approximately 49 mL of CO2 in each deciliter of arterial bloodRef: Ganong's Review of Medical Physiology Twenty-Third Edition Page No: 613